Deletion of chromosome 11 leads to –
1. Wilm's
2. Neuroblastoma
3. Retinoblastoma
4. Osteosarcoma

Correct answer: 1. Wilm's